Splenectomy is indicated in:
1. Sickle cell anaemia
2. Hereditary spherocytosis
3. Haemoglobin c disease
4. Hodgkins lymphoma

Correct answer: 2. Hereditary spherocytosis